PTH does not cause -
1. Maintains serum Ca2+
2. Ca2+ retention
3. Decreased PO43- excretion
4. May cause osteolysis

Correct answer: 3. Decreased PO43- excretion

Explanation: Effect of parathyroid hormone
On calcium

It increases serum calcium level by


Increases resorption of calcium from bone → This is the most prominent action.
Stimulates reabsorption of Ca by kidney
Stimulates renal activation of it. D which increases intestinal absorption of calcium 

On Phosphorus

Decrease the level of PO43- in Serum by decreasing PO43- reabsorption in the kidney.